Which upper limb muscle spans across shoulder and elbow joint?
1. Coracobrachialis
2. Biceps brachii
3. Lateralheadoftriceps
4. Brachialis

Correct answer: 2. Biceps brachii

Explanation: Ans. is'b'i.e., Biceps brachiiMuscles that cross both shoulder and elbow are biceps (complete muscle, i.e. short head and long head) and triceps (only long head crosses the shoulder).